A 3-year-old girl ruptured her eardrum when she inserted a pencil into her ear. Her mother took her to the emergency department after noticing that the child was crying and complaining of pain in her ear with a few drops of blood in the external auditory meatus. The attending doctor examined the child for possible injury to a nerve that runs across the the eardrum. Which is the MOST likely nerve to be injured?
1. Auricular branch of the vagus
2. Chorda Tympani
3. Glossopharyngeal(CN IX)
4. Lesser petrosal

Correct answer: 2. Chorda Tympani

Explanation: Chorda Tympani lies across the tympanic membrane, so it's possible that this nerve was injured by the pencil.